Treatment of choice for fellow eye in acute angle closure glaucoma is
1. Pilocarpine
2. Timolol
3. Surgical iridotomy
4. Laser iridotomy

Correct answer: 4. Laser iridotomy

Explanation: D i.e. Laser iridotomy